Pyridoxine pyridoxine as co-factor in all, except
1. Transamination
2. Transketolation
3. Glycogen phosphorylase
4. Decarboxylation

Correct answer: 2. Transketolation

Explanation: Transamination, decarboxylation and glycogen phosphorylase require pyridoxine.
Transketolation requires TPP.